Which of the following is false about peripheral nerve injury?
1. Neuropraxia is irreversible
2. Epineurium is intact in axonotmesis
3. Neurotmesis is the most severe form of injury
4. Wellerian generation starts in axonotmesis

Correct answer: 1. Neuropraxia is irreversible

Explanation: Ans. is 'a' i.e., Neuropraxia is irreversible Seddon's classification of peripheral nerve in juryNeurapraxia (Class I)o This is the least severe form of nerve injury, with complete recovery. In this case, the axon remains intact, but there is myelin damage causing an interruption in conduction of the impulse down the nerve fiber. Most commonly, this involves compression of the nerve or disruption to the blood supply (ischemia)o No Wallerian degeneration is seen.Axonotmesis (Class II)o This is a more severe nerve injury with disruption of the neuronal axon, but with maintenance of the epineurium.This type of nerve damage may cause paralysis of the motor,sensory, and autonomic. Mainly seen in crush injuryo Wallerian degeneration occurs.Neurotmesis (Class III)o Neurotmesis is the most severe lesion with no potential of full recovery. It occurs on severe contusion, stretch, laceration, or Local Anesthetic Toxicity. The axon and encapsulating connective tissue lose their continuity. Thelast (extreme) degree of neurotmesis is transsection.